Most common abused substance is:
1. Datura
2. Marijuana
3. Cocaine
4. Heroin

Correct answer: 2. Marijuana

Explanation: Cannabis / marijuana:Most commonly abused substance in India Opium: Derived from Papaver somniferum; poison of choice for suicide Heroin / brown sugar: Synthetic derivative of opium Datura: Roadside poison or railway poison Cocaine: Obtained from dried leaves of Erythroxylum coca